The normal pH of tear is (REPEATED)
1. 5.7
2. 7.5
3. 6.5
4. 7.9

Correct answer: 2. 7.5

Explanation: pH of tear is 7.4 Refer: Khurana 6th edition page number 366